Most common drug transport mechanism is
1. Active transport
2. passive diffusion
3. facilitated diffusion
4. P glycoprotein

Correct answer: 2. passive diffusion

Explanation: Passive diffusion- entry of drugs from high to low conc. with no requirement of ATP or energy Pg.no 30 KD TRIPATHI Seventh edition